Which of the following tumor has increased activity of C-KIT?
1. Granulosa cell tumor
2. Embryonal carcinoma
3. Seminoma
4. Chriocarcinoma

Correct answer: 3. Seminoma

Explanation: Overexpression of C-KIT is seen in 
a) Seminoma
b) Melanoma
c) AML
d) GIST